A 34-year-old woman has a routine Pap smear for the first time. The results indicate that dysplastic cells are present, consistent with a high-grade squamous intraepithelial lesion (HSIL), also called cervical intraepithelial neoplasia (CIN) III. She is referred to a gynecologist, who performs colposcopy and takes multiple cervical biopsy specimens that all show CIN III. The conization of the cervix shows a focus of micro invasion at the squamocolumnar junction. Based on these findings, what is the next most likely step in treating this patient?
1. Bone scan for metastatic lesions
2. Course of radiation therapy
3. No further therapy
4. Pelvic exenteration

Correct answer: 3. No further therapy

Explanation: Micro invasive squamous cell carcinomas of the cervix are stage I lesions that have a survival rate similar to that of in situ lesions. Such minimal invasiveness does not warrant more aggressive therapies. The likelihood of metastasis or recurrence is minimal.